All are TRUE about intervertebral disc, EXCEPT:
1. Nucleus pulposus is a remnant of notochord
2. Rich vascular supply
3. Prolapse is most common in lumbosacral region
4. None of the above

Correct answer: 2. Rich vascular supply

Explanation: B. i.e. Rich vascular supply Except for the periphery, the intervertebral disc is avascular structureQ